Which of the follow ing is high energy compound-
1. ADP
2. Glucose-6-phosphate
3. Creatine phosphate
4. Fructose-6-phosphate

Correct answer: 3. Creatine phosphate

Explanation: Ans. is 'c' i.e., Creatine phosphate High energy compoundso The energy released during oxidation of monosaccharides, fatty acids and amino acids may not be required immediately. Therefore, there must be some way of storing energy. The energy released during catabolism is captured in the form of a group of compounds known as uhigh-energy phosphates ". The most important member of this groupis ATP.o A compound that liberates 7 Kcal/mol or more on hydrolysis is called high energy compound, or a compound that on hydrolysis undergoes a large (> 7 kcal/molj decrease in free energy (DG) under standard condition is called high energy compound, i.e., DG >- 7 Kcal/mol. For example, ATP liberates 7.3 Kcal/mol on hydrolysis. High energy compounds are : -Phosphate compounds : Nucleotides (ATP Q, GTP, UTP, UDP-glucose), Creatinine phosphate Q, arginine phosphate, 1,3-bisphosphoglycerate, Phosphoenol pyruvate, inorganic pyrophosphate, Carbamoyl phosphate0,amino acyl adenylate (amino acyl AMP).Sulfur compounds : - CoA derivatives (acetyl Co A Q. Succinyl CoA, fatty acyl CoA, HMG CoA), S-adenosvl methionine (SAM), adenosine phosphosulfate.o A compound which liberates < 7 Kcal/mol on hydrolysis is called low energy compound, i.e., a decrease in free energy' is < 7 Kcal/mol, i.e., AG < -7 Kcal/mol. Low energy' compounds are glucose-1-phosphate, fructose-6- phosphate, glucose-6-phosphate, glycerol-3-phosphate, AMP, ADP Q.